Nickel-Titanium alloy has
1. unreliable spring back
2. low spring back
3. minimal spring back
4. none of the above

Correct answer: 4. none of the above